A 14 year old boy presents with chronic diarrhea. Duodenal biopsy shows villous atrophy. Anti endomysial antibodies and IgA TTG antibodies are positive. What is the treatment of choice?
1. Gluten free diet
2. Antibiotics
3. Loperamide
4. 5-ASA

Correct answer: 1. Gluten free diet

Explanation: Chronic diarrhea, villous atrophy of duodenal biopsy, anti-endomysial antibodies and IgA TTG antibodies are features of coeliac sprue. Management of coeliac sprue includes life long gluten free diet and correcting deficiencies of iron, folate and calcium. Ref: Davidson's principles and practice of Medicine, 20th Edition, Chapter 22, Page 894-896; Harrison's Principles of Internal Medicine, 16th Edition, Page 1772